Inheritance of colour blindness is -
1. Y linked
2. X linked recessive
3. Autosomal dominant
4. Autosomal recessive

Correct answer: 2. X linked recessive

Explanation: Ans. is 'b' i.e., X linked recessive * Colour blindness has X linked recessive inheritance.* Hence it has criss cross inheritance.* It passes from a carrier mother to her son.* Females are carriers in this disease.